Diagnostic sign of a fracture
1. Abnormal mobility at fracture site
2. Pain at the fracture site
3. Tenderness
4. Swelling

Correct answer: 1. Abnormal mobility at fracture site

Explanation: Diagnostic sign of a fracture is abnormal mobility at fracture site. Pathognomic sign of traumatic and fresh fracture is crepitus. ref:maheswari ,5thedition,page no.12